The malunion of supracondylar fracture of the humerus most commonly leads to:
1. Flexion deformity
2. Cubitus varus
3. Cubitus valgus
4. Extension deformity

Correct answer: 2. Cubitus varus

Explanation: Ans. is 'b' i.e. Cubitus varus Repeat Q no. 146 Dec 1997Malunion is the most common complication of a supracondylar fracture and results in a cubitus varus deformity also k/a Gun stock deformity.Although cubitus varus is cosmetically unsightly, it does not have any significant functional disability, so it is corrected surgically only for cosmetic reasons.* Treatment is supracondylar corrective osteotomy (French osteotomy)